What is the chance of having Homocystinuria if only one parent is affected and the other is normal?
1. 25%
2. 0%
3. 50%
4. 75%

Correct answer: 2. 0%

Explanation: Homocystinuria is autosomal recesive disorder.If one parent is affected and the other is normal,none of the children will be affected.